what is deposited in Kyser-Fleischer ring-
1. Copper
2. Lead
3. Mercury
4. Heme

Correct answer: 1. Copper

Explanation: *Kauser-Fleischer (KF) ring-> Copper deposition in Chalcosis or Wilson's disease *Fleischer ring-> Deposition of iron and is a sign of keratoconus